All of the following factors are associated with a substantially greater risk of developing epilepsy after febrile seizures, except
1. Complex febrile seizures
2. Early age of onset
3. Developmental abnormalities
4. Positive family history of epilepsy

Correct answer: 2. Early age of onset

Explanation: The most common seizures in late infancy and early childhood are febrile seizures.The overall prevalence is 3-5% and Patients often have a family history of febrile seizures or epilepsy.Febrile seizures usually occur between 3 months and 5 years of age and have a peak incidence between 18 and 24 months.The typical scenario is a child who has a generalized, tonic-clonic seizure during a febrile illness during the rising phase of the temperature curve (i.e., during the first day).A simple febrile seizure is a single, isolated event, brief, and symmetric in appearance.Complex febrile seizures are characterized by repeated seizure activity, duration >15 minutes, or by focal features.Complex febrile seizures have a risk of 2-5% of recurrenceRef: Harrison; 19th edition